Dhobi's itch is:
1. Tinea corfioris
2. Tinea cruris
3. Tinea barbae
4. Tinea capitis

Correct answer: 2. Tinea cruris

Explanation: B. i.e. Tinea cruris